Sulphur granules are composed of
1. Organisms
2. Leucocytes
3. Erythrocytes
4. Keratinocytes

Correct answer: 1. Organisms

Explanation: Granules are bacterial colonies and will be found to consist of a dense network of thin gram-positive filaments surrounded by a peripheral zone of swollen radiating club shaped structures - sun Ray appearance ( antigen antibody complex ). Ref: Textbook of Microbiology, Ananthanarayan and Paniker; 9th edition